Medial calcification is seen in -
1. Atherosclerosis
2. Arteriolosclerosis
3. Monckeberg's sclerosis
4. Dissecting aneurysm

Correct answer: 3. Monckeberg's sclerosis

Explanation: First, see types of arteries
Based on their size and structural features, arteries are divided into three types.

1. Large or Elastic arteries

Aorta
Its large branches, eg. - Innominate, Subclavian, common carotid, iliac.
Pulmonary arteries.

2. Medium sized or muscular arteries

Small branches of aorta → Coronary, Renal

3. Small arteries and arterioles

Within substance of the tissue

         Now see their affection -
Arteriosclerosis

Don’t get confused with atherosclerosis.
Arteriosclerosis means hardening of arteries by thickening and loss of elasticity of arterial wall.
There are three patterns of arteriosclerosis.

1. Atherosclerosis

Characterized by intimal lesions, i.e. atheromas, which project into a vascular lumen and may obstruct it.
This is the most common pattern of arteriosclerosis.
It involves elastic arteries and large & medium size muscular arteries.

2. Arteriolosclerosis

Seen in arterioles of patients with hypertension and diabetes.
Two anatomic variants are common hyaline and hyperplastic arteriolosclerosis.

3. Monckeberg medial calcific sclerosis

It is seen in small and medium-sized muscular arteries.
It is a degenerative and apparently non-inflammatory disease.
Media of these arteries becomes calcified.
It occurs in patients older than 50 years.